Putrefaction of a dead body buried in dry soil as compared to air is:
1. Same rate
2. Quicker
3. Slower
4. Variable

Correct answer: 3. Slower

Explanation: Ans. C i.e. Slower